Uncrossed diplopia in seen in :
1. Exotropia
2. Exophoria
3. Esotropia
4. Esophoria

Correct answer: 3. Esotropia

Explanation: C i.e. Esotropia Uncrossed (homonymous) diplopia means that the deviation & tilt of second image is in the same direction* as the action of the affected muscle. It is seen in convergent (Esotropia) squints eg lateral rectus palsyQ * If right LR is affected false (2nd) image is on the right side Diplopia Deviation & tilt of 2nd (falses) image Seen in Homonymous or uncrossed In same direction as that of affected muscle Convergent squint (Esotropia) Q e.g. lateral rectus muscle palsyQ Hetronymous or crossed In opposite direction as that of affected muscle Divergent squint (Exotropia) Q e.g. 3rd nerve palsyQ